Which nucleus is present under the facial colliculus ?
1. 7th nucleus
2. 6th nucleus
3. 5th nucleus
4. 10 th nucleus

Correct answer: 2. 6th nucleus

Explanation: Facial nerve nucleus sends axons winding around 6th nucleus produces rounded elevation in superior part of floor of fourth ventricle called facial colliculus. Injury to facial Colliculus leads to paralysis of Risorius muscle supplied by facial nerve.